Ultrasound is useful in a diabetic mother in all the following except one :
1. Confirm fetal maturity
2. To detect fetal malformation
3. To detect hydramnios
4. Diagnose hydrocephalus

Correct answer: 1. Confirm fetal maturity

Explanation: Confirm fetal maturity